Erythropoietin is mainly produced in :
1. Liver
2. Kidney
3. Intestine
4. Bone

Correct answer: 2. Kidney